A 55 year old male, working as a hotel cook, has four dependent family members. He has been diagnosed with an early stage squamous cell cancer of anal canal. He has more than 60% chance of cure. The BEST treatment option is:
1. Abdominoperineal resection
2. Combined surgery and radiotherapy
3. Combined chemotherapy and radiotherapy
4. Chemotherapy alone

Correct answer: 3. Combined chemotherapy and radiotherapy

Explanation: "Nigro regimen is referred to combined chemotherapy and radiotherapy used for primary treatment of malignant tumors of the anal canal". Ref: Bailey & Love 25/e, page 1269; Schwartz 9/e, Page 1053.